Degloving injury is:
1. Surgeon made wound
2. Lacerated wound
3. Blunt injury
4. Avulsion injury

Correct answer: 4. Avulsion injury

Explanation: Ans: d (Avulsion injury)Ref: Bailey & Love, 24,hed, p. 89 & 23rd ed, p. 34